Sickle cell anemia is associated with which type of RCC
1. Medullary
2. Papillary
3. Chromophobe
4. Colloid

Correct answer: 1. Medullary

Explanation: Medullary ca is least common and it is associated with SCD